Sterilising agents include -a) Dry heatb) Ethylene oxidec) Etherd) Alcohole) Chlorhexidine
1. ac
2. a
3. ab
4. bc

Correct answer: 3. ab